Fracture of Hyoid bone is indicative of
1. Throttling
2. Hanging
3. Mugging
4. Ligature strangulation

Correct answer: 1. Throttling

Explanation: Fracture of hyoid bone is commonly seen in Throttling.